Which of the following drugs is topoisomerase I inhibitor?
1. Doxorubicin
2. Irinotecan
3. Etoposide
4. Vincristine

Correct answer: 2. Irinotecan

Explanation: Camptothecin derivatives like topotecan and irinotecan act by inhibiting topoisomerase-I whereas Epipodophyllotoxins (etoposide and teniposide) and anthracyclines (doxorubicin, daunorubicin etc.) act by inhibiting topoisomerase-II.